The RPR test uses VDRL antigen containing fine
1. Carbon particles
2. Iodine particles
3. Silver ions
4. Sodium ions

Correct answer: 1. Carbon particles

Explanation: The rapid plasma reagin (RPR) test is a macroscopic, nontreponemal flocculation card test used to screen for syphilis. RPR antigen is prepared from a modified VDR antigen suspension containing choline chloride to eliminate the need to heat inactivate serum, ethylenediaminetetraacetic acid (EDTA) to enhance the stability of the suspension, and finely divided charcoal particles as a visualizing agent. Ref: Ananthanarayana textbook of Microbiology 9th edition Pgno : 374